Medical treatment of ectopic pregnancy is :
1. Methotrexate
2. Progesterone
3. Oestrogen
4. Adriamycin

Correct answer: 1. Methotrexate

Explanation: Methotrexate